Which of the following condition is using laparoscopy as the diagnostic tool of investigation?
1. Endometriosis
2. Ca uterus
3. Ca cervix
4. Ca rectum

Correct answer: 1. Endometriosis

Explanation: Laparoscopy is the primary method used for diagnosing endometriosis. Laparoscopic findings are variable and may include discrete endometriotic lesions, endometrioma, and adhesion formation. The pelvic organs and pelvic peritoneum are typical locations for endometriosis. Lesions are variable colors, which may include red, white, and black. Laparoscopic visualization of ovarian endometriomas has a sensitivity and specificity of 97 percent and 95 percent, respectively. Ref: Hoffman B.L., Schorge J.O., Schaffer J.I., Halvorson L.M., Bradshaw K.D., Cunningham F.G., Calver L.E. (2012). Chapter 10. Endometriosis. In B.L. Hoffman, J.O. Schorge, J.I. Schaffer, L.M. Halvorson, K.D. Bradshaw, F.G. Cunningham, L.E. Calver (Eds), Williams Gynecology, 2e.